Low QRS voltage on ECG indicates -
1. Pulmonary embolism
2. Pericardial effusion
3. Cor pulmonale
4. Infective endocarditis

Correct answer: 2. Pericardial effusion

Explanation: Ans. is 'b' i.e., Pericardial effusion [Ref: ECG Interpretation : From Pathyphysiology to clinical interpretation (Springer)2999- p. 281; 150 Practice ECG interpretation & Review by Tavlor (John Wiley & Sons) 2003-p. 48,491Causes of low voltage QRS complexeso Adrenal insufficiencyo Anasarcao Artifactual or spurious, eg, unrecognized standardization of ECG at one-half the usual gain (i.e., 5 mm/tnv)o Cardiac infiltration or replacement (e.g., amyloidosis, tumor)o Cardiac transplantation, especially with acute or chronic rejectiono Cardiomyopathy, idiopathic or secondary?o Chronic obstructive pulmonary diseaseo Constrictive pericarditiso Hypothyroidism, usually with sinus bradycardiao Left pneumothorax (mid-left chest leads)o Myocardial infarction, extensiveo Myocarditis, acute or chronico Normal variano Obesityo Pericardial effusiono Pericardial tamponade, usually with sinus tachycardiao Pleural effusions